Unnatural Sexual offences are defined by section ?
1. 375 IPC
2. 320 IPC
3. 377 IPC
4. 302 IPC

Correct answer: 3. 377 IPC

Explanation: Ans is 'c' i.e., 377 IPC IPC retated to sexual offences]228 IPC : Prohibits disclosure of identity of rape victim.375 IPC : Defining rape.376 IPC : Punishment for rape (7 years to life imprisonment +- fine).376-A IPC : Punishment for marital rape (2 years imprisonment +- fine).377 IPC : Unnatural sexual offences (10 years to life imprisonment +- fine).354 IPC : Assault or criminal force to woman with intent to outrage her modesty.366-A IPC : Procuration of minor girl for illicit intercourse.351 IPC : Defines assault.352-358 IPC : Punishment for causing assault.509 IPC : Word, gesture or act intended to insult the modesty of a women.